The standard normal distribution :
1. Is skewed to the left
2. Has mean=1.0
3. Has standard deviation=0.0
4. Has variance=1.0

Correct answer: 4. Has variance=1.0

Explanation: The standard deviation in a standard normal curve is 1.0. The variance (SD2) is thus also one. Ref: Park's Textbook Of Preventive And Social Medicine By K. Park, 19th Edition, Page 702; Park's Textbook Of Preventive And Social Medicine By K. Park, 18th Edition, Page 647; Methods in Biostatistics: For Medical Students and Research Workers By BK Mahajan, 6th Edition, Page 68